The most common retrobulbar orbital mass in adults
1. Neurofibroma
2. Meningioma
3. Cavernous haemangioma
4. Schwannoma

Correct answer: 3. Cavernous haemangioma

Explanation: C i.e. Cavernous haemangioma The cavernous haemangioma is the most common benign orbital tumor in adultsQ, with a female preponderance of 70%. Although it may develop anywhere in orbit, it most frequently occurs with in the muscle cone just behind the globeQ.